Which one of the following clinical features is NOT seen in Phaeochromocytoma?
1. Hypertension
2. Episodic palpitations
3. Weight loss
4. Diarrhea

Correct answer: 4. Diarrhea

Explanation: (D) Diarrhea # PHAECHROMOCYTOMA Clinical Features:> Skin sensations, flank pain, elevated heart rate, elevated Blood pressure, palpitations, anxiety, diaphoresis, headache, pallor, weight loss, localized amyloid deposits found microscopically, and elevated blood glucose level.